Drug causing hyperglycemia is -
1. Beta blockers
2. Glucocorticoid
3. Alcohol
4. Indomethacin

Correct answer: 2. Glucocorticoid

Explanation: Ans. is 'b' i.e., Glucocorticoid Drugs causing hyperglycemia o Asparaginase o Ethacrinic acid o Chlorthalidone o Frusemide o Diazoxide o Glucocorticoids o Encainide o Growth-hormone o Thyroid hormones o Vacor o HIV protease inhibitors o Niacin o OCP o Pentamidine o Phenytoin o Thiazides o Clozapine o beta-adrenergic agonists (propranolol)